Which is associated with G2M transition in cell cycle?
1. Cyclin A
2. Cyclin B
3. Cyclin E
4. Cyclin D

Correct answer: 2. Cyclin B